True about drug metabolism ?
1. Glucuronidation is phase I reaction
2. Most common enzyme involved is Cyp 3A4/5
3. Reduction is most common reaction
4. Cytochrome p450 is involved phase-II reaction

Correct answer: 2. Most common enzyme involved is Cyp 3A4/5

Explanation: Ans. is'b'i.e., Most common enzyme involved is Cyp 3A4/5(Ref: Katzung Ilth/e p. 55)Cytochrome p450 enzymes are microsomal enzymes that are involved in phase I metabolism of many drugs.Most of the drugs are metabolized by Cyp 3A4 isoform.Cyp 3 A 4/5 carryout biotransformation of largest number (nearly 5O%) of drugs.